Which of the following is not an embryologic structure that contributes to the formation of the face
1. Frontonasal prominence
2. Zygomatic prominence
3. Maxillary prominence
4. Mandibular prominence

Correct answer: 2. Zygomatic prominence

Explanation: The face is derived from the following structures that contributes to the formation of the face. The face is derived from the following structures around the stomatodeum (primitive mouth): Mandibular prominences and maxillary prominences of the first arch. Frontonasal prominence formed by the prominence of mesenchyme ventral to the brain vesicles. It also gives rise to medial and lateral nasal prominence. Structures contributing to the development of face Prominence Structure formed Frontonasal Forehead, bridge of the nose, also forms the medial and lateral nasal prominences Medial nasal Philtrum of the upper lip, crest of the nose, and tip of the nose Lateral nasal Alae of nose Maxillary Upper part of cheeks, lateral portion of the upper lip Mandibular Lower part of cheeks, chin, lower lip Ref: Inderbir Singh's Human Embryology 11th edition Pgno: 153